A women is diagnosed to have breast carcinoma, the other breast requires-
1. Random FNAC
2. No investigation
3. Mammography
4. Clinical breast examination

Correct answer: 3. Mammography

Explanation: Ans. is 'c' i.e., Mammography o Annual screening mammography is recommended for patients writh personal H o DCIS or invasive cancer in one breast irrespective of age.